A patient of schizophrenia was started on a new drug, three months later she complains of weight gain. What is the most likely dug?
1. Olanzapine
2. Amisulpride
3. Risperidone
4. Haloperidol

Correct answer: 1. Olanzapine

Explanation: All atypical antipsychotics can lead to weight gain and Clozapine is associated with maximum risk of causing weight gain followed by Olanzapine. As Clozapine is not given in the options, Olanzapine is the correct answer.